Acyclovir is used for the following viral infection :
1. Rabies virus
2. Cytomegalovirus
3. Herpes simplex virus
4. Human immunodeficiency virus

Correct answer: 3. Herpes simplex virus